Which of the following drug causes hemorrhagic  cystitis ?
1. Cyclophosphamide
2. Cycloserine
3. Ciprofloxacin
4. Cyclosporine

Correct answer: 1. Cyclophosphamide